False regarding childhood autism is:
1. Isolated area of talent may be remarkable developed'
2. Parental attitude and behavior do not attribute to it
3. Emergence of speech and social smile is often delayed
4. It represents a type of childhood neurotic disorder

Correct answer: 4. It represents a type of childhood neurotic disorder

Explanation: AUTISM includes intellectual disability, learning disability, communication disorder and attention deficit disorders. Autism is not a disease. It is one of the developmental disorders of the brain function. Its cause is not known in majority of cases but unlike other developmental disabilities, prenatal and perinatal factors do not playa major role in its etiology. Clinical features are speech and language delay, impairment of comprehension of language, fluent but unintelligible jargon, impairment of social interaction, hyperactivity, unusual interest in TV commercials, repetitive compulsive play activity, etc. Seizures are more common in autistic children than in general population. Some autistic children have islands of brilliance.